Satellite lesions in eye is caused by –
1. Herpes zoster
2. Herpes simplex
3. Aspergillosis
4. Trachoma

Correct answer: 3. Aspergillosis